Neurolathyrism is due to ingestion of -
1. Ergot alkaloid
2. Crotolaric seeds
3. Khesari Dal
4. Sanguinarine

Correct answer: 3. Khesari Dal

Explanation: Ans. is 'c' i.e., Khesari Dal DiseaseToxinAdulterantLathyrismBOAAKhesari Dal (Lathyrus sativus)Epidemic DropsySanguinarineArgemone mexicana (oil)Endemic AscitesPyrrolizidine alkaloidsCrotolaria seeds (,Jhunjhunia)AflatoxicosisAflatoxinAspergillus flavus/parasiticusErgotismClavine alkaloidsClaviceps fusiformis